Beta oxalo amino alanine is the toxin responsible for manifestation of:-
1. Epidemic dropsy
2. Staphylococcal food poisoning
3. Lathyrism
4. Endemic Ascites

Correct answer: 3. Lathyrism

Explanation: Food adulteration disease: Disease Toxin Adulterant Lathyrism BOAA Khesari dal / Lathyrus sativus Epidemic dropsy Sanguinarine Argemone mexicana Endemic ascites Pyrrolizidine alkaloids Crotalaria seeds - Vitamin C is used for prevention & treatment of lathyrism.